Osteogenic metastases is characteristic of -
1. Prostate carcinoma
2. Colon ca
3. Thyroid ca
4. Breast ca

Correct answer: 1. Prostate carcinoma

Explanation: Ans. is 'a' i.e., Prostatic Ca Metastasis to bony skeletono Anumber of tumors commonly metastasise to bone, the best examples of which are breast cancer, prostate cancer, and lung cancer. Other forms of malignancies are also metastasise to bone.o The presence of tumor cells in bone can result in the development of either osteolytic bone lesions, an osteoblasticdisease, or a mixed osteolvtic/osteoblastic lesions. In most types of tumor, however, the deposits predominantly of one type.Lung carcinomaGenitourinaryReproductive systemGITAdrenalo Carcinoma - osteolytico Carcinoid - Osteoblastico Renal cell carcinoma - Lytico Wilm's tumor - Lytico Bladder cancer - lytic occasionally blastico Prostate - Blastico Cervix - lytic or mixedo Ovary - lytico Testis - lytic occasion nally blastico Stomach - blastico Uterus - lytico Colon - lytic occasionally blastico Rectum - lytico Pheochromocytomas or mixed - lytico Carcinoma - lytico Neuroblastoma -lyticBreast - lytic or mixedThyroid - lytic o Prostatic carcinoma is the most common cause of osteoblastic bone metastasis .o Renal cell carcinoma and thyroid carcinoma produce expansile pulsatile bony metastasis. Other tumors which produce expansile bony metastases are melanoma and pheochromocytoma.